Isshiki thyroplasty type I is -
1. Lateralization of the vocal cord
2. Medialization of the vocal cord
3. Shortening of the vocal cord
4. Lengthening of the vocal cord

Correct answer: 2. Medialization of the vocal cord